Safest anti TB drug in renal diseas -
1. Steptomycin
2. Capreomycin
3. Rifampicin
4. Ethambutol

Correct answer: 3. Rifampicin